Which of the following is not a cause for Acute pancreatitis?
1. Gall stones
2. Hemochromatosis
3. Alcohol intake
4. Anti retroviral drug

Correct answer: 2. Hemochromatosis

Explanation: Common causes of acute pancreatitis are gallstones, alcohol, ERCP, trauma, post surgery, dysfunction of sphincter of Oddi and by drugs such as antiretroviral drugs, azathioprine, tetracycline, valproic acid, 6 mercaptopurine, sulfonamides and estrogen. Hemochromatosis is not a cause of acute pancreatitis. Reference: Harrison's Principles of Internal Medicine 18e, chapter 313.